True about Secretin includes all of the following EXCEPT
1. It increases the acidity of biliary and pancreatic secretions
2. It decreases gastric acid secretion
3. It decreases gastrin secretion and gastric emptying
4. it increases flow and velocity of bile

Correct answer: 1. It increases the acidity of biliary and pancreatic secretions

Explanation: The principal function of secretin is to maintain the alkaline pH of the duodenal environment. It increases bicarbonate content of the pancreatic and biliary secretion. Thus, statement A is incorrect, hence the answer. It decreases gastric acid secretion and gastric emptying, thereby preventing the entry of acidic chyme into the duodenum. The stimulus for secretin release is the entry of acidic chyme into the duodenum. Production of bile is increased by secretin. It increases the water and bicarbonate content of the bile. This will increase the bulk of the bile, increasing its flow.